Remitting and relapsing features are associated with
1. Multiple Sclerosis
2. Guillain-Barre syndrome
3. Parkinson's disease
4. Subdural haematoma

Correct answer: 1. Multiple Sclerosis

Explanation: (A) Multiple Sclerosis # Classification of Multiple Sclerosis> Progression of MS subtypes> Several subtypes, or patterns of progression, have been described. Subtypes use the past course of the disease in an attempt to predict the future course. They are important not only for prognosis but also for therapeutic decisions. In 1996 the United States National Multiple Sclerosis Society standardized four subtype definitions Relapsing remitting Secondary progressive Primary progressive Progressive relapsing> Relapsing-remitting subtype is characterized by unpredictable relapses followed by periods of months to years of relative quiet (remission) with no new signs of disease activity. Deficits suffered during attacks may either resolve or leave sequelae, the latter being more common as a function of time.> This describes the initial course of 85-90% of individuals with MS.> When deficits always resolve between attacks, this is sometimes referred to as benign MS.> The relapsing-remitting subtype usually begins with a clinically isolated syndrome (CIS). In CIS, a patient has an attack suggestive of demyelination, but does not fulfill the criteria for multiple sclerosis.> However only 30 to 70% of persons experiencing CIS later develop MS.> Guillain-Barre syndrome is an acute inflammatory demyelinating polyneuropathy (AIDP), an autoimmune disorder affecting the peripheral nervous system, usually triggered by an acute infectious process. It is included in the wider group of peripheral neuropathies.